Juvenile angiofibroma confined to nasal cavity, preferred approach for surgery ?
1. Transnasal endoscopic
2. Transpalatal
3. Lateral rhinotomy
4. Transmaxillary

Correct answer: 1. Transnasal endoscopic

Explanation: Ans. is'a'i.e., Transnasal endoscopic(Ref: Clinical otolaryngology p. 911)